All the following statements are true regarding malignant Salivary Gland Tumors EXCEPT:
1. Painful
2. Present with skin Ulceration
3. Cervical Lymphadenopathy present
4. Simple Enucleation is treatment of choice

Correct answer: 4. Simple Enucleation is treatment of choice

Explanation: ANSWER: (D) Simple Enucleation is treatment of choiceREF: Sabiston 18rh edition chapter 33MALIGNANT SALIVARY GLAND TUMORS:The majority of neoplasms arise in the parotid gland (70%), -whereas tumors of the submandibular gland (22%) and sublingual and minor salivary glands (8%) are less common.The ratio of malignant to benign tumors varies by site as well: parotid gland, 80% benign and 20% malignant; submandibular gland and sublingual gland, 50% benign and 50% malignant; and minor salivary glands, 25% benign and 75% malignant.Salivary gland neoplasms are most often manifested as slow-growing, well-circumscribed masses. Symptoms such as pain, rapid growth, nerve weakness, and paresthesias and signs of cervical lymphadenopathy and fixation to skin or underlying muscles suggest malignancy.The accuracy of fine-needle aspiration cytology of the salivary glands has been well established. The sensitivity, specificity, and accuracy of parotid gland aspirates in one series were 92%, 100%, and 98%, respectively. Excision of the gland is used to confirm the final diagnosis.* Treatment of salivary gland malignancies is en bloc surgical excision. Radiation therapy is administered postoperatively for high-grade malignancies demonstrating extraglandular disease, perineural invasion, direct invasion of surrounding tissue, or regional metastases